A medical student could not deliver seminar, fearing his senior despite knowing that they are supportive. He further has difficulty speaking in front of others and also avoids going to the parties. The most likely diagnosis is :
1. Agoraphobia
2. Claustrophobia
3. Social phobia
4. Acrophobia

Correct answer: 3. Social phobia

Explanation: Here the fear is performing in public and there is also avoidance of social situations (i.e. avoidance of parties). Hence it is diagnostic of social phobia/ social anxiety disorders. Extra edge: Specific Phobias Clinical feature 1. Agoraphobia Fear of being trapped in places from where escape is difficult 2. Claustrophobia Fear of closed spaces 3. Acrophobia Fear of heights 4. Ailurophobia Fear of cats 5. Hydrophobia Fear of water 6. Cynophobia Fear of dogs 7. Mysophobia Fear of dirt and germs 8. Pyrophobia Fear of fire 9. Xenophobia Fear of strangerss 10. Zoophobia Fear of animals 11. Nyctophobia Fear of darkness 12. Thanatophobia Fear of death 13. Aviophobia Fear of flying